Hyoid fracture is common in -
1. Hanging
2. Strangulation
3. Throttling
4. Chocking

Correct answer: 3. Throttling

Explanation: Internal Neck findings in throttling on bloodless flap dissection of neck, severe contusions of the strap muscled of the neck under the nail marks and finger marks can be seen. Carotid arteries may show intimal tears. There may be hemorrhage in the pharynx, larynx, tonsils and base of the tongue. Fracture of Hyoid is a common finding in throttling. There will bee inward compression fracture of greater horns of hyoid bone one or both sides and the horns are found adducted and the periosteum is torn on the outer aspect. Superior horns of thyroid cartilage may also be fractured inwards with infiltration to the surrounding area due to direct compression force by the fingers. Ref: FORENSIC MEDICINE AND TOXICOLOGY Dr PC IGNATIUS THIRD EDITION PAGE 253.